Enzyme replacement therapy is available for
1. Gauchers disease
2. Galactosemia
3. Fructosuria
4. None

Correct answer: 1. Gauchers disease

Explanation: Enzyme replacement therapy (E) for type 1 Gaucher disease includes imiglucerase (Cerezyme), velaglucerase alfa (VPRIV), and taliglucerase alfa (Elelyso). Historically, most patients received the recombinant enzyme imiglucerase Ref-D.M.Vasudevan 7/e p407